Which virus cannot be cultivated -
1. Vaccinia
2. Variola
3. Molluscum contagiosum
4. Cowpox

Correct answer: 3. Molluscum contagiosum

Explanation: The molluscum bodies are composed of a large number of virus particles embedded in a protein matrix. Humans are the only susceptible host. The virus cannot grow in eggs, tissue cultures or animals. REF:ANANTHANARAYAN AND PANIKER'S TEXTBOOK OF MICROBIOLOGY 9TH EDITION PAGE NO:465